True about vitiligo are all except –
1. Genetic predisposition is known
2. Leucotrichia is associated with good prognosis
3. PUVA is used for treatment
4. Topical steroids give good results

Correct answer: 2. Leucotrichia is associated with good prognosis

Explanation: Leucotrichia (depigmented hair) is a poor prognostic factor.